Which viral infection always causes clinical disease in human beings -
1. Rubella
2. Poliomyelitis
3. Measles
4. Chicken pox

Correct answer: 3. Measles